Opening of Eustachian tube in middle ear -
1. Medial wall
2. Lateral wall
3. Anterior wall
4. Posterior wall

Correct answer: 3. Anterior wall